Following is true of eventration of diaphragm -a) It is a developmental defectb) Early surgery is treatmentc) Defect is usually musculard) Diagnosed mostly clinically
1. a
2. ac
3. ad
4. b

Correct answer: 2. ac

Explanation: • Abnormally elevated position of diaphragm from paralysis or atrophy of the muscle fibers.
• May be congenital anomaly caused by failure of muscularization of the dome of hemidiaphragm, or it may be acquired as a result of dysfunction of the phrenic nerve related to the neuromuscular disease or trauma including operative trauma.
• Birth trauma: MC cause of acquired diaphragmatic eventration, usually related to breech presentation.
• Most commonly diagnosed in pediatric patients
• More common in males and affect left hemidiaphragm more frequently.
Treatment
• Diaphragmatic plication is preferred over resection.
• Surgery to fix the diaphragm in inspiration so the paradoxical movement and mediastinal shift are minimized.